A lady presented with a creamy white vaginal discharge having fishy odour. What is the drug of choice of this condition?
1. Doxycycline
2. Ofloxacin
3. Metronidazole
4. Clindamycin

Correct answer: 3. Metronidazole

Explanation: The clinical scenario is of bacterial vaginosis. Oral treatment with metronidazole-paicularly with a 7-day regimen-provides reasonable coverage against both trichomoniasis and bacterial vaginosis, the usual causes of symptoms of vaginal discharge. Ref: Marrazzo J.M., Holmes K.K. (2012). Chapter 130. Sexually Transmitted Infections: Overview and Clinical Approach. In D.L. Longo, A.S. Fauci, D.L. Kasper, S.L. Hauser, J.L. Jameson, J. Loscalzo (Eds), Harrison's Principles of Internal Medicine, 18e.